To achieve caries reduction in adults the diet modification should be:
1. Rich in calcium and vitamins
2. Restrict sugars to 5 times a day
3. Restrict sugars to 6 times a day
4. Restrict in between meals sugar intake

Correct answer: 4. Restrict in between meals sugar intake